Postganglionic fibers are:
1. Type c fibers
2. Type B fibers
3. Both
4. None

Correct answer: 1. Type c fibers

Explanation: Postganglionic fibers are type C fibers They are non myelinated, they have slow conduction velocity Ref:Guyton and Hall textbook of medical physiology 12th edition,page number: 73